The following condition is not associated with an increased anion-gap type of metabolic acidosis -
1. Shock
2. Ingestion of ante-freeze
3. Diabetic keto-acidosis
4. COPD

Correct answer: 4. COPD

Explanation: COPD does not produce metabolic acidosis, it causes respiratory acidosis, so there is no question of anion gap acidosis.